Extrahepatic manifestations of HCV are all except:
1. Lichenoid eruptions
2. Celiac disease
3. Glomerulonephritis
4. Cryoglobulinemia

Correct answer: 2. Celiac disease

Explanation: Extra-hepatic manifestations of hepatitis C Hematological Systemic Rheumatology Dermatology Organ dysfunction Cryoglobulinemia Arthralgia Behcet's disease Lichen myxoedematosus Diabetes Membranoproliferative glomerulonephritis Arthritis Vasculitis Porphyria cutanea tarda Cardiomyopathy Multiple myeloma Fatigue Raynaud's syndrome Pruritis Idiopathic lung fibrosis Neutropenia/ thrombocytopenia Fibromyalgia Sialadenitis Spider naevi Peripheral neuropathy Non-hodgkin's lymophoma Corneal ulceration Systemic lupus erythematous Renal failure Hypothyroidism Waldenstrom Macroglobulinaemia Vitiligo Extra edge: Polyarteritis nodosa is related to Hepatitis B>hepatitis C,